Paramesonephric duct in males remains as
1. Prostatic utricle
2. Prostatic uretha
3. Colliculus seminalis
4. Ejaculatory duct

Correct answer: 1. Prostatic utricle

Explanation: The paramesonephric ducts remain rudimentary in the maleThe greater part of each duct eventually disappearsThe cranial end of each duct persists as a small rounded body attached to the testis(appendix of testis)It has been considered that the prostatic utricle represents the uterovaginal canalRef: Inderbir Singh's Human embryology; Tenth edition; Pg 300